Koebner's phenomenon is characteristic of –
1. Psoriasis
2. Pemphigus vulgaris
3. Pityriasis rosea
4. Lupus vulgaris

Correct answer: 1. Psoriasis

Explanation: Disorders showing koebner's phenomenon

Lichen planus           Lichen nitidus                         Darrier disease (Keratosis follicularis)
Psoriasis                   Molluscum contigiosum          DLE
Vitiligo                       Warts                                      Pityriasis rubra pilaris

Rare causes are

Erythema multiforme                                          Necrobiosis lipoidica
Hailey-bailey disease                                         Xanthoma
Leukemia & Carcinoma                                      Vasculitis
Lichen sclerosis